All lesions are seen in leprosy except
1. Erythematous Macule
2. Hypo pigmented patch
3. Vesicles
4. Flat & raised patches

Correct answer: 3. Vesicles

Explanation: C i.e. Vesicles